True about inspiration;the intrapleural pressure becomes-
1. More –ve
2. More +ve
3. Same
4. Initially positive, then negative

Correct answer: 1. More –ve

Explanation: The intrapleural pressure becomes more negative at the end of inspiration and less negative at expiration. It ranges between -3 and -6 mmHg.